EMACO regimen of chemotherapy is used in the treatment of
1. Carcinoma cervix
2. Gestational trophoblastic neoplasia
3. Malignant Ovarian germ cell tumor
4. Endometrial carcinoma

Correct answer: 2. Gestational trophoblastic neoplasia

Explanation: EMA-CO a cyclic non, cross-resistant combination of etoposide, methotrexate, and actinomycin D alternating with cyclophosphamide and vincristine.Etoposide induces complete remission in 95% of patients with nonmetastatic and low-risk metastatic GTN. The use of EMA-CO induced an 83% remission rate in patients with metastasis and a high-risk score.Ref: Berek and Novak's Gynecology; 15th edition; Chapter 39 Gestational Trophoblastic Disease